X-ray shows reduction of intervertebral disc space and fusiform shadow along the vertebra, most likely diagnosis
1. Psoas abscess
2. Hemorrhage in posterior mediatinum
3. TB Spine
4. Osteoporosis

Correct answer: 3. TB Spine